Rat bite fever is caused by ?
1. Spirillum major
2. Spirillum minor
3. Yersinia
4. Leptospira

Correct answer: 2. Spirillum minor